Argon laser trabeculoplasty is indicated in
1. Aphakic glaucoma
2. Neovascular glaucoma
3. Closed angle glaucoma
4. Open angle glaucoma

Correct answer: 4. Open angle glaucoma

Explanation: Indications for Argon laser trabeculoplasty Uncontrolled open angle glaucoma despite medical therapy Noncompliance of medical therapy and non-availability of ALT Eyes with advanced disease - high IOP, advanced cupping and advanced field lossMechanism of ALT - Increasing outflow facility by producing collagen shrinkage on the inner aspect of trabecular meshwork and opening intratrabecular spaces. Regime consists of 50 spots on the anterior half of the trabecular meshwork over 1800degree Complications - Inflammation, hemorrhage, uveitis,peripheral anterior synechiae and reduced accomodation(Refer: AH Khurana, Comprehensive Textbook of Ophthalmology,5thedition,pg no: 236)